"Raindrop skull" is seen in
1. Hemophilia
2. Thalassemia
3. Multiple Myeloma
4. Hodgkin's lymphoma

Correct answer: 3. Multiple Myeloma